Most medially located renal structure is -
1. Major calyx
2. Minor calyx
3. Renal cortex
4. Renal pelvis

Correct answer: 4. Renal pelvis

Explanation: Among given options medial to lateral → renal pelvis, major calyx, minor calyx, renal cortex.